The cell wall deficient bacteria
1. Rickettsiae
2. Mycoplasma
3. Chlamydiae
4. Ehrlichiae

Correct answer: 2. Mycoplasma